All the following drugs are hallucinogens except
1. Mescaline
2. Phencyclidine
3. Ketamine
4. Pentostatin

Correct answer: 4. Pentostatin

Explanation: Pentostatin is an anticancer drug Hallucinogens-LSD,Phencyclidine,ketamine,mescaline etc Ref: Essentials of postgraduate psychiatry By JN Vyas 1st ed Pg. 326